Venous drainage of upper part of uterus and placenta is through :
1. Ovarian vein
2. Uterine vein
3. Internal iliac vein
4. None

Correct answer: 1. Ovarian vein

Explanation: Ovarian vein